Botulinum toxin type B is used in which disease ?
1. Glabellar lines
2. Strabismus
3. Cervical dystonia
4. Blepharospasm

Correct answer: 3. Cervical dystonia

Explanation: Ans. is 'c' i.e., Cervical dystonia